All are true about antemortem contusion, except:
1. Sequential color change
2. No inflammation
3. Raised enzyme levels
4. Blood cells in surrounding tissue

Correct answer: 2. No inflammation

Explanation: Ans. No inflammation